The ideal tidal volume in a patient ventilated for ARDS is-
1. 6 mL/kg
2. 10 mL/Kg
3. l4 mL/kg
4. 2O mL/kg

Correct answer: 1. 6 mL/kg

Explanation: The ideal tidal volume in a patient ventilated for ARDS is 6mL/kg predicted body weight.Mortality was significantly lower in this low TV patients(31%) compared to the conventional TV (12 mL/kg predicted body weight) ventilation(40%). Despite its life-saving potential mechanical ventilation can aggravate lung injury in severe ARDS patients. Ventilator-induced lung injury arises from two principal mechanisms: Volutrauma from repeated alveolar overdistension from excess tidal volume; Atelectrauma from recurrent alveolar collapse. Reference: Harrison's Medicine,20thedition, page no:203